Episodic weakness is seen in all of the following, Except:
1. Eaten Lambert Sndrome
2. Hypokalemia
3. Hypercalcemia
4. Hyperglycemia

Correct answer: 4. Hyperglycemia

Explanation: Answer is D (Hyperglycemia): Hyperglycemia is not associated with episodic weakness. Hypercalcemia, Hypokalemia and Lambert-Eaten syndrome may all be associated with episodic generalized weakness (Refer table in previous question)